Which of the following parotid malignancy shows perineural spread:
1. Pleomorphic adenoma
2. Adenoid cystic carcinoma
3. Warthin's tumor
4. Ductal papilloma

Correct answer: 2. Adenoid cystic carcinoma